If a mother is donating her kidney to her son. This is an example of
1. Isograft
2. Autograft
3. Allograft
4. Xenograft

Correct answer: 3. Allograft

Explanation: Isograft - graft of tissue between two individuals who are genetically identical Allograft- an organ or tissue transplanted from one individual to another Autograft- graft of tissue from one point to another of the same individual's body. Xenograft- a graft performed between different species Ref: Bailey and love 27th edition Pgno: 1533